Protein making up the bulk of keratohyaline granules in stratum granulosum of keratinized epithelium is
1. Involucrin
2. Vinculin
3. Filaggrin
4. Nectin

Correct answer: 3. Filaggrin